Wind velocity is normally recorded at a height of –
1. 1 metre
2. l0 metres
3. 15 metres
4. 20 metres

Correct answer: 2. l0 metres